Common site of fracture in tibia is
1. Upper one-third
2. Junction of upper two-thirds and lower one-third
3. Lower one-third
4. Middle one-third

Correct answer: 2. Junction of upper two-thirds and lower one-third

Explanation: The tibia is commonly fractured at the junction of upper two-thirds and lower one-third of the shaft as the shaft is most slender here. Such fractures may unite slowly, or may not unite at all as the blood supply to this part of the bone is poor. This may also be caused by tearing of the nutrient artery.Ref: Chaurasia; Volume 2; 6th edition; Page no: 25